Glycemic index is defined as:
1. Glucose control in last 3 months
2. Measure of the change in the blood glucose following ingestion of proteins
3. Measure of the change in the blood glucose following ingestion of carbohydrate
4. Measure of the change in the blood glucose following ingestion of fats.

Correct answer: 3. Measure of the change in the blood glucose following ingestion of carbohydrate

Explanation: The Glycemic index (GI) of a carbohydrate containing food is a measure of the change in the blood glucose following its ingestion